A child with a small head, minor anomalies of the face including a thin upper lip, growth delay, and developmental disability can have all of the following,except
1. A chromosomal syndrome
2. A teratogenic syndrome
3. A mendelian syndrome
4. A polygenic syndrome

Correct answer: 4. A polygenic syndrome

Explanation: The features given can occur as a part of a chromosomal / teratogenic / mendelian syndrome. Polygenic inheritance is the answer of exclusion. In a polygenic inheritance, multiple genes are involved in the phenotypic expression. Some examples of polygenic inheritance are hypertension and diabetes. Reference: GHAI Essential pediatrics, 8th edition